All of the following are side effects of Oral Contraceptive Pills except:
1. Thromboembolism
2. Liver disease
3. Ovarian tumor
4. Breast Carcinoma

Correct answer: 3. Ovarian tumor

Explanation: Ans. C: Ovarian tumor Combined oral contraceptives may influence coagulation, increasing the risk of DVT and pulmonary embolism, stroke and myocardial infarction. Combined oral contraceptives are generally accepted to be contraindicated in women with pre-existing cardiovascular disease, in women who have a familial tendency to form blood clots (such as familial Factor V Leiden), women with severe obesity and/or high cholesterol level), and in smokers over age 40. COC are also contraindicated for women with Liver tumors, hepatic adenoma or severe cirrhosis of the liver, and for those with known or suspected breast cancer. (WHO category 4).